Granuloma inguinale
1. Is caused by gardnerella vaginalis
2. Beefy red ulcers that bleed easily
3. Painful inflammatory nodules
4. Short incubation period of 3 days

Correct answer: 2. Beefy red ulcers that bleed easily

Explanation: Granuloma inguinale is caused by Klebsiella granulomatis. It is painless. It has incubation period of weeks to months (long).